All of the following are contraindications to tocolysis except.
1. Chorloamnionitis
2. Fetal distress
3. Anencephaly
4. Placenta previa

Correct answer: 4. Placenta previa

Explanation: Contraindications of Tocolysis : Chorioamniotis Advanced labour Abruption Pre-eclampsia Fetal distress IUD Pregnancy >34 weeks Congenital anomalies. Ref: Dutta Obs 7e pg 319.